A patient presents with right hypochondrium pain. Which of the following investigations should be done:
1. CT
2. MRI
3. USG
4. Cholecystogram

Correct answer: 3. USG

Explanation: Ans. (c) USGRef: Bailey 26th ed. H100